Paternal 15 chromosome deletion is seen in
1. Angelman syndrome
2. Prader willi syndrome
3. Down syndrome
4. Tarner syndrome

Correct answer: 2. Prader willi syndrome